Select the regime of corticosteroids which has the maximum adverse effect potential ?
1. Prednisolone 20 mg/day oral for one year
2. Prednisolone 60 mg/day oral for 7 days
3. Dexamethasone 4 mg intravenous daily for 3 days
4. Methyl–prednisolone 1000 mg intravenous twice single dose

Correct answer: 1. Prednisolone 20 mg/day oral for one year